The main reason for replacing premature loss of primary anterior teeth
1. Form and function
2. Speech and esthetics
3. Space maintenance
4. None of the above

Correct answer: 2. Speech and esthetics